Which of the following acts as cofactor after it's modification
1. Vit-C
2. Pantothenic acid
3. Biotin
4. Zinc

Correct answer: 2. Pantothenic acid

Explanation: Pantothenic acid acts as a cofactor after its modification.
It acts after its conversion into pantetheine which is formed after a combination of pantothenate (pantothenic acid) with cysteine.